Tarsometatarsal amputation and Intertarsal amputation known as respectively,
1. Lisfranc and Pirogoff
2. Lisfranc and Chopart
3. Chopart and Lisfranc
4. Chopart and Pirogoff

Correct answer: 2. Lisfranc and Chopart